A case of nephritis, presen ts with haematuria & hemoptysis, antinuclear membrane antibody are presents. Likely diagnosis is-
1. Good pasteur syndrome
2. Nephritic syndrome
3. Nephrotic syndrome
4. Gullian barre syndrome

Correct answer: 1. Good pasteur syndrome

Explanation: Goodpasture syndrome (GPS), also known as anti-glomerular basement membrane disease, is a rare autoimmune disease in which antibodies attack the basement membrane in lungs and kidneys, leading to bleeding from the lungs and kidney failure.presence of haematuria is also seen in kidney Ref Harrison20th edition pg 289